Gonioscopy is used to study:
1. Anterior chamber
2. Posterior chamber
3. Angel of anterior chamber
4. Retina

Correct answer: 3. Angel of anterior chamber

Explanation: Ans: C (Angel of anterior chamber) Ref: Kanski. Cliniccd Ophthalmology 6th edition: PS- 11Explanation:GONIOSCOPY - To study the angle of the anterior chamber:Structures: From anterior to posteriorS - Schwalbe lineT - trabecular mesh workS - sclera spurC - ciliary bodyUses:Diagnostic - Abnormal angle structure , estimation of the width of the chamber angle.Surgical gonioscopy - While doing goniotomy, laser trabeculoplasty.Types of Lenses:Direct - Gonioprism - Direct view of the angle - KOEPPE LENS.Indirect - Goniomirror - Image of the opposite angle - GGLDMANN, ZEISS, POSNER and SUSSMAN.